All of the following anticancer agents cause bone marrow depression except -
1. Chlorambucil
2. Daunorubicin
3. Doxarubucin
4. Flutamide

Correct answer: 4. Flutamide

Explanation: Ans. is 'd' i.e., Flutamine Flutamide is a non steroidal drug having specific antiandrogenic, but no other hormonal activity. o Daunarubicin, Doxorubicin and chlorambucil are all known agents for bone marrow depression.